Which of the following is an example of uncoupler -
1. Thyroxine
2. 2, 4 DNC
3. 2, 4DNP
4. All of the above

Correct answer: 4. All of the above

Explanation: Ans. is 'd' i.e., All of the above o As the name suggests, these componds block the coupeling of oxidation with phosphorylation. These compounds allow the transfer of reducing equivalents in respiratory chain but prevent the phosphorylation of ADP to ATP by uncoupling the linkage between ETC and phosphorylation. Thus the energy instead of being trapped by phosphorylation is dissipated as heat. Uncouplers may bei) NaturalThermogenin, thyroxineii) Synthetic:- 2,4-dinitrophenol (2,4-DNP), 2,4-din itrocresol (2,4-DNC), and CCCP (chlorocarbonylcyanidephenyl hydrazone).